Inverted umbrella sign is seen in?
1. CHPS
2. Ischemic colitis
3. Ileocecal TB
4. Crohn's disease

Correct answer: 3. Ileocecal TB

Explanation: The 'Fleischner sign'(also known as the 'Inverted umbrella sign'), refers to a widely gaping, thickened, patulous ileocaecal valve and a narrowed, ulcerated terminal ileum associated with Tuberculous involvement of the Ileocaecum.